Ways to prevent intraventricular hemorrhage in a preterm neonate are all of the following EXCEPT?
1. Antenatal steroid use
2. Minimal & gentle handling
3. Avoiding rapid boluses
4. Avoiding high FiO2 during mechanical ventilation

Correct answer: 4. Avoiding high FiO2 during mechanical ventilation

Explanation: Ways to prevent intraventricular hemorrhage in a preterm neonate: Antenatal steroid use Minimal & gentle handling Avoiding rapid boluses or infusion of hyperosmolar solution Avoiding high pressures during mechanical ventilation